All are toxicities seen with amiodarone therapy except?
1. Pulmonary cirrhosis
2. Corneal micro-deposits
3. Cirrhosis of liver
4. Productive cough

Correct answer: 4. Productive cough

Explanation: Ans. is 'd' i.e., Productive cough Amiodarone and cirrhosis o Abnormal liver function is frequently reported with amiodarone use but clinically symptomatic disease is rare.o Hepatomegaly, cholestasis, acute hepatitis and rarely fulminant liver failure have been recorded, however amiodarone toxicity presenting with cirrhosis is exceedingly rare.o But there have been reported cases of cirrhosis with amiodarone use, referred to as pseudo-alcoholic cirrhosis. Amiodarone and cough o The most important adverse effect of amiodarone is pulmonary toxicity.o Patient usually present with chest pain, dyspnea and dry cough (not productive cough)o Fatal pulmonatyfibrosis may occur.o Pulmonary toxicity is dose related.